The relationship of mean height of two groups of children is best studied by -
1. Student's t-test
2. Linear regression
3. Chi-square test
4. Test of proportions

Correct answer: 1. Student's t-test